Rhinospordium seeberi is a
1. Fungi
2. Aquatic protist
3. Bacteria
4. Virus

Correct answer: 2. Aquatic protist

Explanation: R.Seeberi is a Aquatic protist belongs to mesomycetozoa.